A 3 year old girl presents with recurrent UTI. On USG shows hydronephrosis with filling defect and negative shadow of bladder with no ectopic orifice?
1. Vesicoureteric reflux
2. Hydronephrosis
3. Ureterocele
4. Sacrococcygeal teratoma

Correct answer: 3. Ureterocele

Explanation: Ans. is 'c' i.e., Ureterocele